Size of focal spot influence radiographic
1. Definition
2. Density
3. Contrast
4. All of above

Correct answer: 1. Definition